A 36-yrs-old woman presents with increased trouble swallowing. Physical examination finds hypertension and sclerodactyly. Lab tests find Anti- Scl- 70. Which of the following biopsies is most characteristic of this disorder?
1. A conjunctival biopsy that reveals noncaseating granulomas
2. A peripheral nerve biopsy that reveals rare acid- fast bacteria
3. A skin biopsy that reveals dermal fibrosis with an absence of adnexal structures
4. A subcutaneous fat biopsy that reveals an infiltrate of plasma cells and eosinophils

Correct answer: 3. A skin biopsy that reveals dermal fibrosis with an absence of adnexal structures

Explanation: A skin biopsy that reveals dermal fibrosis with an absence of adnexal structures * The combination of trouble swallowing, hypertension, and sclerosis of the skin should raise the possibility of progressive systemic sclerosis (scleroderma), a multisystem disease that involves the cardiovascular, * a peripheral nerve biopsy that reveals rare acid-fast bacteria is diagnostic of leprosy; and a temporal artery biopsy that reveals fragmentation of the internal elastic lamina is characteristic of ternporal arteritis.